Reverse transcriptase is a RNA dependant DNA polymerase.which of the these viruses has it
1. Hepatitis A
2. Hepatitis B
3. Hepatitis E
4. Hepatitis C

Correct answer: 2. Hepatitis B

Explanation: Ref Robbins 9/e p832 Hepatitis B virus contains pol gene .this exhibit both DNA polymerase activity and reverse transcriptase activity replication of viral genome occurs through intermediate RNA template activity